All of the following therapies may be required in a 1-hour-old infant with severe birth asphyxia, EXCEPT:
1. Glucose
2. Dexamethasone
3. Calcium gluconate
4. Normal saline

Correct answer: 2. Dexamethasone

Explanation: Corticosteroids should not be used, and although many paediatricians use mannitol, there is no evidence for its effectiveness. Babies with severe asphyxia may appear to settle relatively quickly after the resuscitation, but there is likely to be a deterioration after 6-12 hours or so as cerebral oedema develops. Ref:Kligman, Behrman, Jenson, Stanton (2008), Chapter 100, "Delivery Room Emergencies", In the book, "Nelson's Textbook of Pediatrics", Volume 1, 18th Edition, New Delhi, Page 723